Which of the following respiratory system components is derived from neural crest?
1. Endothelial cells
2. Epithelium of primary bronchi
3. Laryngeal cartilage
4. Tracheal glands

Correct answer: 3. Laryngeal cartilage